Pulmonary function changes in acute bronchial asthma in untreated patient -a) ↑ed peak expiratory flowb)  ↓ed TLCc)  ↓ed FVC  d) ↑ed RVe) ↑ed FEV
1. ab
2. bc
3. cd
4. ac

Correct answer: 3. cd